Duke's stage C2 refers to carcinoma -
1. Bladder penetrating the extravesical fat
2. Bladder with metastasis to internal iliac lymph nodes
3. With histological features of 75% anaplastic cells
4. Rectum with metastasis to inferior mesentric lymph nodes

Correct answer: 4. Rectum with metastasis to inferior mesentric lymph nodes

Explanation: Duke's staging is used for colorectal cancer.
In Dukes 'C' stage, there is involvement of regional lymphnodes.
Duke's staging has been explained earlier.